Incision used for modified Radical neck dissection
1. Kocher incision
2. Grid iron incision
3. Macfee incision
4. Sistrunk incision

Correct answer: 3. Macfee incision

Explanation: Mac fee incision & Modified schobinger incision are the incisions used for MRND.